Electrical contact burn usually causes
1. First degree burns
2. Superficial second degree burns
3. Deep second degree burns
4. Third degree burns

Correct answer: 4. Third degree burns

Explanation: Most electrical burns are of severe degree and cause third degree burns. Electrical injuries are divided into low and high voltage injuries Low voltage injuries: they are small, localised and deep burns High voltage injuries : damage by flash(external burn) and conduction (internal burn) Ref: Bailey and love 27th edition Pg no : 631